Which of the following is not administered by intradermal route
1. BCG
2. Insulin
3. Mantoux
4. Drug sensitivity injection

Correct answer: 2. Insulin

Explanation: Refer KDT 6/e p259 Insulin is admistered by s,.c route Insulin is a peptide hormone produced by beta cells of the pancreatic islets; it is considered to be the main anabolic hormone of the body.